In case of hepatic porphyria the safe anti convulsant-
1. Phenytoin
2. Carbamazepine
3. Valparate
4. Paraldehyde

Correct answer: 4. Paraldehyde